A 17-year-old female presents with a history of fever and headache and now develops altered sensorium. CT scan shows basal exudates with meningeal enhancement. The CSF is most likely to show:
1. Lymphocytic pleocytosis, low sugar, low protein
2. Polymorphonuclear pleocytosis, normal sugar, high protein
3. Lymphocytic pleocytosis, low sugar, high protein
4. Lymphocytic pleocytosis, normal sugar, high protein

Correct answer: 3. Lymphocytic pleocytosis, low sugar, high protein

Explanation: CT scan shows basal exudates with meningeal enhancement is highly suggestive of tuberculous meningitis. Normal Bacterial Viral Fungal /TB Pressure cmH20) 5-20 >30 Normal or mildly increased Appearance Normal Turbid Clear Fibrin web Protein (g/L) 0.18-0.45 >1 <1 0.1-0.5 Glucose (mmol/L) 2.5-3.5 <2.2 Normal 1.6-2.5 Gram stain Normal 60-90% Positive Normal Glucose - CSF: Serum Ratio 0.6 <0.4 >0.6 <0.4 WCC <3 >500 <1000 100-500 Other 90% PMN Monocytes 10% have >90% PMN 30% have> 50% PMN Monocytes